A 55-year-old woman presents with complaints of chest pain. She states that the chest pain predictably occurs when she climbs four flights of stairs to reach her apartment or when she has been jogging for more than 10 minutes. She is particularly concerned because her mother died of a myocardial infarction at 50 years of age. Which of the following best describes this patient's state?
1. Arrhythmia
2. Myocardial infarction
3. Prinzmetal angina
4. Stable angina pectoris

Correct answer: 4. Stable angina pectoris

Explanation: This is a classic case of stable angina, which is chest pain that is precipitated by exertion but relieved by rest. Stable angina is due to atherosclerosis of the coronary arteries. This patient has risk factors for ischemic heart disease (IHD) (e.g., cigarette smoking, hypertension, hyperlipidemia, diabetes, family history of IHD/coronary artery disease). Prinzmetal angina is intermittent chest pain at rest and unstable angina is prolonged chest pain at rest.